Management of chronic pain includes:
1. Intra-thecal hyperbaric phenol
2. Antrolateral cordotomy
3. Epidural fentanyl
4. All

Correct answer: 4. All

Explanation: A i.e. Intra-thecal hyperbaric phenol, B i.e. Antrolateral cordotomy, C i.e. Epidural fentanyl Management of chronic pain includes patient controlled analgesia (PCA), epidural or intrathecal opioid (fentanyl) & local anesthetic, neurolytic blocks by hypobaric alcohol or hyperbaric phenol, anterolateral cordotomy and various drugs like anticonvulsants, antidepressants, neuroleptics, opioids, serotonergic drugs and az adrenergic agonistQ.